The minimum amount of normal perfused liver parenchyma to be left intact when a hepatic resection is planned is
1. 10%
2. 20%
3. 50%
4. 75%

Correct answer: 2. 20%

Explanation: The liver is divided into 8 segments (Couinaud segments). The right lobe is formed by segments V, VI, VII, VIII from front to behind. Left lobe formed by segments II, III and IV. Segment I (Spiegel lobe) is caudate lobe which has got independent blood supply. * Resection along the main portal fissure (Cantlie's line) and removal on the right side is right hemihepatectomy and removal on the left side is left hemihepatectomy. * Resection on the right of the ligamentum teres is called as right trisegmentectomy (older - right lobectomy), and of the ligamentum teres is called as left lateral segmentectomy- segment II and III (older left lobectomy). * Removal of a single segment is called as unisegmentectomy. * Plurisegmentectomy is a removal of two or more segments. Segments IV and V are removed in carcinoma of the gallbladder. * Removal of a small portion of liver either within the segment or traversing segments is called a wedge resection of the liver. Ref: SRB's manual of surgery,3 rd ed, pg no 559